From which of the following routes absorption of local anaesthetic is maximum
1. Intercoastal
2. Epidural
3. Brachial
4. Caudal

Correct answer: 1. Intercoastal

Explanation: Refer Miller's Anasesthsilology /591 The greater the blood supply to the area injected, the greater is the systemic absorption, sites of absorption from greatest to least include Interpleural Intercoastal Pudendal Caudal Epidural Branchial plexus Infiltration